This type of psoriasis is commonly seen in children and may follow a streptococcal sore throat –
1. Guttate
2. Stable plaque
3. Pustular
4. Arthropathic

Correct answer: 1. Guttate

Explanation: Guttate psoriasis occurs in children and adults. It is precipitated by URTI (e.g. streptococcal tonsilitis)